Best prognosis following nerve injury is seen for
1. Radial nerve
2. Ulnar nerve
3. Common peroneal nerve
4. All

Correct answer: 1. Radial nerve

Explanation: Radial nerve has best prognosis following nerve injury Ref:Guyton and Hall textbook of medical physiology 12th edition,page number: 74,75,76